30 years of women comes with dysphagia for both solid & liquids. Barium swallow shows Parrot beak appearance. On esophageal manometry, increased LES pressure. Management includes:
1. Nitrates
2. Ca channel blockers
3. Botulinum toxin
4. All

Correct answer: 4. All

Explanation: Ans. is all